True about Legionella pneumoniae is:
1. Gram negative
2. Lungs not effected
3. Gram positive
4. Non motile

Correct answer: 1. Gram negative

Explanation: Gram negative